The following structures are felt on per rectal examination except
1. Bulb of penis
2. Ureter
3. Anorectal ring
4. Urogenital diaphragm

Correct answer: 2. Ureter

Explanation: During this procedure, areas which can be palpated are: the bulb of the penis, the urogeital diaphram-, the annorectal ring, and other nearby anatomical landmarks. However, structures like the ureter(the two tubes that run from each kidney to the urinary bladder), and the urethra (which, in a male, is divided into three parts, and is inside the penis) cannot be palpated. Ref - researchgate.net